Incised looking laceration is seen in all except -
1. Iliac crest
2. Zygomatic bone
3. Shin
4. Chest

Correct answer: 4. Chest

Explanation: the synopsis of forensic medicine & toxicology ; Dr k.s .narayan reddy ,28th edition ; Pg.no. 110 Incised like or incised looking wounds : laceration produced without excessive skin crushing ,may have relatively sharp margin .Blunt force on areas where the skin is close to bone ,and subcutaneous tissue are scanty ,may produce a wound which by linear splitting of the tissues ,may look like incised wound . the sites ate the scalp ,eyebrows ,cheekbone ,lower jaw ,iliac crest ,perineum ,and shin.A wound produced by a fall on the knee or elbow with the limb flexed and by a broken glass or sharp stone also looks like incised wound . On chest there is more muscle tone & comparatively greater subcutaneous fat ,so incised looking lacerations are less common on chest . Also refer page no. 119 (table 8-5 )